True regarding haemangioma of the spleen:
1. Least common benign tumour of the spleen
2. May transforms into a haemangiosarcoma
3. Malignant transformation may be managed conservatively
4. None of the above

Correct answer: 2. May transforms into a haemangiosarcoma

Explanation: Ans. B: May transforms into a haemangiosarcoma Haemangioma of the spleen is the most common benign tumour of the spleen and may develop into a haemangiosarcoma